Epalrestat is used in
1. Hypertension
2. Hyperlipidemia
3. HIV
4. Diabetes

Correct answer: 4. Diabetes

Explanation: It is a aldose reductase inhibitor. Thereby it prevent conversion of glucose in to sorbitol. Sorbitol act like a tissue toxin & is responsible for many of the complica on of diabetes. So Epalrestat is use as a drug to prevent the complica on of diabetes. But it does not reduce the blood sugar level.